Post traumatic stress disorder characterized by all EXCEPT
1. Flashbacks
2. Avoidancebehaviour
3. Increased Arousal
4. Numbening of the reflexes

Correct answer: 4. Numbening of the reflexes

Explanation: (Numbning of the reflexes) (3534 - H 18th)Diagnostic Criteria for Post traumatic Stress DisorderA. The person has been exposed to a traumatic event in which both of the following were present1. The person experienced, witnessed, or was confronted with an event or events that involved actual or threatened death or serious injury, or a threat to the physical integrity of self or others2. The person's response involved intense fear, helplessness or horror.B. The traumatic event is persistently reexperiened in one (or more) of the following ways:1. Recurrent and intrusive distressing recollections of the even including images, thoughts, or perceptions.2. Recurrent distressing dreams of the event3. Acting or feeling as if the traumatic event were recurring (includes a sense of reliving the experience, illusion hallucinations, and dissociative flashback episodes including those that occur on awakening or when intoxicated)4. Intense psychological distress at exposure to internal or external cues that symbolize or resemble an aspect of the traumatic event.5. Physiologic reactivity on exposure to internal or external cues that symbolize or resemble an aspect of the trauma and that symbolize or resemble an aspect of the traumatic eventC. Persistent avoidance of stimuli associated with the trauma and numbing or general responsiveness (not present before the trauma), as indicated by three or more of the following1. Efforts to avoid thoughts, feelings, or conversations associated with the trauma2. Efforts to avoid activities, places, or people that arouse recollections of the trauma3. Inability to recall an important aspect of the trauma4. Markedly diminished interest or participation in significant activities5. Feeling of detachment or estrangement from others6. Restricted range of affect (e. g, unable to have loving feelings)7. Sense of a foreshortened future (e.g., does not expect to have a career, marriage, children, or a normal life span)D. Persistent symptoms of increased arousal (not present before the trauma), as indicated by two (or more) of the following1. Difficulty falling or staying asleep2. Irritability or outbursts of anger3. Difficulty concentrating4. Hypervigilance5. Exaggerated startle responseE. Duration of the disturbance (symptoms in criteria B, C are more than 1 month)F. The disturbance causes clinically significant distress or impairment in social, occupational, or other important areas of functioning